All of the following statements are true about 6–mercaptopurine EXCEPT:
1. It is metabolized by xanthine oxidase
2. It does not cause hyperuricemia
3. Its dose should be reduced when allopurinol is given  concurrently
4. It is an active metabolite of azathioprine

Correct answer: 2. It does not cause hyperuricemia

Explanation: All anticancer drugs can result in hyperuricemia by causing the destruction of excess cells.
Azathioprine is an immunosuppressant drug that acts by generating 6-MP.
6-MP is metabolized by xanthine oxidase. Its dose should be reduced when allopurinol is given concurrently.